Method to establish a safer airway in a patient with neck trauma, cricoid fracture with possibility of a difficult airway:
1. Orotracheal intubation
2. Cricothyroidotomy
3. Emergency tracheostomy
4. None of the above

Correct answer: 3. Emergency tracheostomy

Explanation: Ans. C: Emergency tracheostomy Tracheostomy is an alternative when intubation is not possible Tracheostomy: Double tube Made of titanium silver alloy In emergency trachesostomy, structure which can be injured are: - Inferior thyroid vein - Isthmus of thyroid - Thyroid imam artery Common complication is tracheal stenosis Mitomycin is used for tracheal stenosis